A 50 Yr old lady presents with 2 Yr history of recurrent abdominal pain with radiation to her back. Pain is severe in intensity and refractory to simple analgesics. US- abdomen and Contrast enhanced CT scan confirmed the diagnosis and showed a dilated pancreatic duct. Which of the following is likely recommended surgical procedure of choice
1. Vagotomy with antrectomy
2. Vagotomy with gastrojejunostomy
3. Whipple's procedure
4. Longitudinal pancreatic jejunostomy

Correct answer: 4. Longitudinal pancreatic jejunostomy